All are true regarding scrub typhus except -
1. Caused by R tsutsugamushi
2. Spread by mites
3. Caused by bite of adult mite on vertebral host
4. Tetracycline is effective

Correct answer: 3. Caused by bite of adult mite on vertebral host